Which of the following is part of ear is derived from all three germ layers -
1. External auditorycanal
2. Earossicles
3. Tympanic membrane
4. Ear muscles

Correct answer: 3. Tympanic membrane

Explanation: Ans. is 'c' i.e., Tymparic membrane ComponentDevelops fromI External ear PinnaFusion of 6 auricular hillocks around dorsal part of 1 st pharyngeal ectodermal cleft.Tragus1st archRest of auricle & muscles2nd archExternal auditory meatusDorsal part of l st pharyngeal ectodermal cleft.Tympanic membraneApposition of first pharyngeal cleft (ectoderm) with tubotympanic recess (endoderm) with mesoderm in between.II Internal ear Membranous labyrinthSpecial sensory' end organs of hearing and euilibrium (cristae of semicircular canals, maculae of utricle and saccule, and organ of corti of cochlea)Bony labyrinthEctoderm overlying hindbrain forming the otic placode and then the olic vesicle.Differentiation of localized areas of epithelium of membranous labyrinth.Mesenchyme around the membranous labyrinth w'hich is condensed to form otic capsule.